Bilateral pulseless disease in upper limbs is caused by
1. Aortoarteritis
2. Coarctation of aorta
3. Buerger's disease
4. Aortoiliac dissection

Correct answer: 1. Aortoarteritis

Explanation: Aortoarteritis or Takayasu's ds. is an inflammatory & stenotic disease of the medium and large-sized arteries with a strong predilection for the aortic arch and its branches (therefore also k/a aortic arch syndrome). Narrowing of the lumen of the involved vessels occur with or without thrombosis, leading to symptoms of vascular compromise. Subclavian artery is the most commonly involved vessel, leading to loss or weakening of pulses (thus also k/a pulseless ds.) It is mostly seen in adolescent girls and young women. It is more common in Asia.